Which of the following is a non-molar trophoblastic neoplasm?
1. Complete hydatidiform mole
2. Partial hydatidiform mole
3. Invasive mole
4. Choriocarcinoma

Correct answer: 4. Choriocarcinoma

Explanation: GTD histologically is divided into hydatidiform moles, which are characterized by the presence of villi, and non-molar trophoblastic neoplasms, which lack villi.Nonmolar trophoblastic neoplasms include choriocarcinoma, placental site trophoblastic tumor,and epithelioid trophoblastic tumor.Reference: William's Obstetrics; 25th edition; Chapter 20; Gestational trophoblastic diseases